Staphylococcal pathogenicity is indicated by-
1. Coagulase positivity
2. Hemolysis
3. Lipoteichoic acid
4. Endotoxin

Correct answer: 1. Coagulase positivity

Explanation: Virulence factors of Staphylococcus aureus

There are numerous virulence factors responsible for the pathogenicity of staph aureus, but the most consistent association of virulence is the production of coagulase and to a lesser extent, fermentation of mannitol.
Coagulase causes activation of prothrombin and leads to fibrin formation around the bacteria, protecting the bacteria from phagocytosis.